Enzyme(s) used in polymerase chain reaction is/are:
1. Restriction endonuclease
2. DNA polymerase
3. Alkaline phosphate
4. RNA polymerase

Correct answer: 2. DNA polymerase

Explanation: B i.e. DNA Polymerase